Registration of births and death act was passed in:
1. 1955
2. 1969
3. 1970
4. 1972

Correct answer: 2. 1969

Explanation: Registration of births and deaths act was passed in 1969. Everyone has to register births and deaths within 21 days of the event. Ref: National Health Programmes in India, J.Kishore, 10th edition pg: 751